Revised strategies of National Programme for Control of Blindness include all except
1. To strengthen participation of voluntary organizations
2. To enhance coverage of eye care services in tribal and other under-served areas
3. To shift from fixed facility surgical approach to eye camp approach
4. To strengthen services for transplantation of cornea, treatment of glaucoma

Correct answer: 3. To shift from fixed facility surgical approach to eye camp approach

Explanation: Revised Strategies of NPCB
1. Strengthening services for other causes of blindness like corneal blindness and refractive errors in school children
2. Improving followup services of cataract operated persons
3. Treating other causes of blindness like glaucoma.
– To strengthen participation of voluntary organizations
– To shift from eye camp approach to fixed facility surgical approach
– To enhance coverage of eye services in tribal & underserved areas
– To expand World Bank project activities:
1. Construction of dedicated eye OTs and eye wards
2. Training of eye surgeons
3. Modern cataract surgery
4. Supply of ophthalmic equipment